Risk of preterm delivery is increased if cervical length is :
1. 2.5 cm
2. 3.0 cm
3. 3.5 cm
4. 4.0 cm

Correct answer: 1. 2.5 cm

Explanation: Ans. is a i.e. 2.5 cm Preterm labour (PTL) : Preterm labour is defined as labour (regular , painful frequent uterine contractions causing progressive effacement and dilatation of cervix) occurring before 37 completed weeks of gestation. "Risk of preterm birth increases markedly when the cervix is less than 2.5 cms. This measurement has been widely accepted as the threshold to define the risk of premature birth. The possibility of preterm delivery when the cervix is < 25 mm is 17.8%. This risk is significantly greater than the normal risk, and hence these women require additional diagnostic tests and special care." Also know : Most common cause of preterm labour is chorioamnionitis. Most common organisms responsible for preterm labour : -- Ureoplasma urealyticum and Gardenerella vaginum causing bacterial vaginosis. Predictors of preterm labour -- Symptoms of Preterm labour -- Uterine contraction > 4 per hour -- Cervical length < 2.5 cm -- Presence of fibronectin in, the cervicovaginal discharge between 24-34 weeks -- Bishop's score > 4 -- Cervical dilatation > 2 cm and effacement 80% -- Vaginal bleeding -- Prior preterm birth. Diagnosis of Preterm labour : Regular uterine contractions with or without pain (at least one in every 10 min). Dilatation (> 2 cm) and effacement (80%) of cervix. Length of cervix (measured by TVS) < 2.5 cm and funneling of internal os. Pelvic pressure, backache and or vaginal discharge or bleeding.